Which of the following is a voluntary organization?
1. TB Association of India
2. Directrate of Health Service
3. Indian Medical Council
4. Council of Medical Research

Correct answer: 1. TB Association of India

Explanation: Ans. is `a' i.e., TB Association of India